Giardiasis is associated with which immuno disorder
1. Common variable immunodeficiency
2. C1 esterase deficiency
3. C8 deficiency
4. MAC deficiency

Correct answer: 1. Common variable immunodeficiency

Explanation: Risk factors of Giardiasis: Gammaglobulinemia Common variable immunodeficiency Selective IgA-deficiency. Cystic fibrosis Poor hygiene Elderly debilitated persons